Best result in tuboplasty are seen in :
1. Isthmic - Isthmic type
2. Isthmic - ampullary type
3. Cornual implantation
4. Removal of hydrosalpinx

Correct answer: 1. Isthmic - Isthmic type

Explanation: Isthmic - Isthmic type